A patient presents with polyuria and elevated prolactin levels. There is family history of father died due to renal stones. He has Ca2+of 12 g% and PTH levels of 260 IU/L. Most likely diagnosis is:
1. MEN 1
2. PGA 1
3. MEN 2
4. Autoimmune polyendocrinopathy

Correct answer: 1. MEN 1